True about Femur length used as fetal biometric measure is all except
1. Femur length used for gestational age estimation has variation of 7 to 11 days in second trimester
2. Foreshortend femur length suggests evaluation for skeletal dysplasia
3. Femur length doesn't correlate well with BPD and gestational age
4. Femur length is measured excluding the epiphysis

Correct answer: 3. Femur length doesn't correlate well with BPD and gestational age

Explanation: Femur length correlates well with BPD and gestational age.